Which among the following is a cardioprotective fatty acid?
1. Palmitic acid
2. Stearic acid
3. Oleic acid
4. Omega-3 fatty acid

Correct answer: 4. Omega-3 fatty acid

Explanation: Ans. D. Omega-3 fatty acid(Ref: Harper 31/e page 199)Significance of o3 Fatty AcidDecrease the risk of cardiovascular disease.Appear to replace arachidonic acid in platelet membranesLower the production of thromboxane and tendency of the platelet aggregation.Decrease serum triglyceridesImportant for infant developmentLower the risk of various mental illness Lower the risk of chronic degenerative diseases, such as cancer, rheumatoid arthritis, and Alzheimer's disease.